Deadly triad of trauma include all except
1. Hypothermia
2. Acidosis
3. Hypotension
4. Coagulopathy

Correct answer: 3. Hypotension

Explanation: Deadly triad' include hypothermia, acidosis and coagulopathyBailey and love 27e pg: 378